Hep-2 cells are the type of
1. Primary cell cultures
2. Diploid cell strain
3. Continuous cell lines
4. Explant culture

Correct answer: 3. Continuous cell lines

Explanation: Continuous cell lines - these are cells of a single type usually derived from cancer cells that are capable of continuous serial cultivation indefinitely.
Standard cell lines derived from human cancers such as HeLa, HeP2 and KB cell lines have been used.